An Example of a tumour suppressor gene is:
1. myc
2. fos
3. ras
4. RB

Correct answer: 4. RB

Explanation: RB